Fastest acting receptor/transduction mechanism is
1. Adenylyl cyclase-cyclic AMP pathway
2. Phospholipase C-IP3:DAG pathway
3. Intrinsic ion channel operation
4. Nuclear receptor

Correct answer: 3. Intrinsic ion channel operation

Explanation: Ref-KDT 6/e p40 Drugs acting and ionotropic receptor are fast acting where as those acting through nuclear receptors are slowest in action